Color of the normal gingiva is
1. Pink
2. Red
3. Coral pink
4. None of the above

Correct answer: 3. Coral pink